Commonest site of fertilization is :
1. lsthmic
2. Ampulla
3. lnfundibulum
4. lnterstitial

Correct answer: 2. Ampulla

Explanation: Ampulla